Most sensitive index of transmission in leprosy is -
1. Incidence
2. Detection rate
3. Disability rate
4. Prevalence

Correct answer: 1. Incidence

Explanation: Incidence rate is the most sensitive index of transmission of leprosy. Its the only index for measuring the effectiveness of measures taken. Reference; Park's Textbook of preventive and social medicine, 24th edition.Pg no.346